In pathogenesis of cevical cancer which proteins of HPV play a role -
1. E3 & E4
2. E5, E6
3. E6, E7
4. E8, E10

Correct answer: 3. E6, E7

Explanation: Ans. is 'c' i.e., E6, E7* Carcinoma cervix is the MC cancer affecting women in India today, followed by breast cancer.Risk factors for CA cervix/CIN:a) Young age at first intercourse (< 16 years)b) Multiple sexual partnersc) Cigarette smokingd) Racee) High parityf) Low socioeconomic statusg) Human papillomavirus (HPV) infectionh) HIVi) Immunosuppression * The initial event in cervical dysplasia and carcinogenesis is likely to be infection with HPV. The mechanism by which HPV affects cellular growth and differentiation is by interactions of viral E6 and E7 proteins with p53 and Rb resulting in gene activation.